Which drug is not used now in Alzheimer's disease?
1. Tacrine
2. Galantamine
3. Donepezil
4. Rivastigmine

Correct answer: 1. Tacrine

Explanation: Ans. (A) Tacrine(Ref: KDT 8th/e p119, 518)Because of hepatotoxicity, and requirement of frequent dosing, tacrine is less often used than other agents.